Drug used to perform stress ECHO:
1. Thallium
2. Dobutamine
3. Adrenaline
4. Adenosine

Correct answer: 2. Dobutamine

Explanation: B i.e. Dobutamine - Stress echocardigraphy has same technique used to access the heart function at rest eg. cardiac output, ejection fraction, shortening fraction & segmental wall motion analysis) but with a stressor as exercise or dobutamine infusionQ. It can cause emergence of regions of akinesis or dyskinesis not present at rest. - Stress echocardiography is primarily indicated to confirm the suspicion of ischemic heart disease & to estimate its severity. Regional wall motion abnormality i.e., decreased systolic contraction of an ischemic area of myocardium, occurs before symptoms or ECG changes. New regional wall motion abnormalities, decrease in ejection fraction and increase in end systolic volume with stress, are all indicators of myocardial ischemia. Response of gradient to dobutamine stimulation is of diagnostic & theraputic value in patients with low -gradient, low output aortic stenosis (AS). It's also used to assess myocardial viability in patients with poor systolic function of concomitant coronary artery disease (CAD). In selected situations (eg men, multivessel disease, LAD disease when imaging single vessel diseae), it is very sensitive in detecting myocardial ischemia. The same is true for stress ECG and radionuclide perfusion scan.